Potato nose is seen in -
1. Acne vulgaris
2. Rhinosporoidosis
3. Acne rosacea
4. Lupus vulgaris

Correct answer: 3. Acne rosacea

Explanation: Rosacea:-Chronic skin infection characterised by symptoms of facial flushing and a spectrum of signs including erythema, telangiectasia,coarseness of skin and inflammatory papulopustular lesion.Features:-1. Red papules and pustules on nose ,forehead,cheeks and chin.2. Frequent blushing 3. Aggravated by sun exposure.4. Ocular Rosacea-red,sore/gritty eyelid margin including papules and styes.5. Rhinophyma:!enlarged unshapely nose with prominent pores. Potato nose appearance.6. Blepharophyma-firm swelling of eyelids. Iadvl textbook of dermatology page 856